Molar pregnancy is diagnosed best by
1. Clinical examination
2. Ultrasound
3. b hCG
4. None of the above

Correct answer: 2. Ultrasound

Explanation: Ultrasound